What is the best time to operate cleft lip?
1. Immediately after birth
2. 1 to 3 months
3. 3 months to 6 months
4. 6 months to 1 year

Correct answer: 3. 3 months to 6 months

Explanation: Ans. is 'c' i.e., 3 months to 6 months Timing of repair of cleft lipo According to CSDT-Follow the 'Rule of Ten' i.e. Surgery is done after 10 wks of age weight 10 lb (4.5 kg) hemoglobin 10g/dlo According to Schwartz - at 3 to 6 months of ageo According to Sabiston - at 3 months of ageo According to Bailey - between 4 to 6 months of age